A 9 year old boy presented to the casualty with high fever, pruritic erythematous rash, joint pain and lymph node enlargement. There is a history of upper respiratory tract infection for which he was on cefaclor - 7 days completed of a 10 day course. The most likely diagnosis is?
1. Serum sickness like illness
2. Hemolytic-uremic syndrome
3. Kawasaki disease
4. Type III hypersensitivity

Correct answer: 1. Serum sickness like illness

Explanation: Serum sickness like reaction can occur following the use of certain drugs, especially cefaclor in children. It presents with an urticarial / purpuric rash, arthritis, lymphadenopathy and fever. But unlike true serum sickness (type III hypersensitivity response), it is not caused by circulating immune complexes.